Treatment of pustular psoriasis is –
1. Thalidomide
2. Retinoids
3. Hydroxyurea
4. Metholtrexate

Correct answer: 2. Retinoids

Explanation: First choice for pustular psoriasis     →  Retinoids (Acitretin)
Second choice for pustular psoriasis    → Methotrexate